Torsade-de-pointes is caused by -
1. Hypermagnesemia
2. Metabolic acidosis
3. Hypomagnesemia
4. Metabolic alkalosis

Correct answer: 3. Hypomagnesemia